All are true about the trigone on the base of the urinary bladder, except ?
1. Mucosa is loosely associated to the underlying musculature
2. Mucosa is smooth
3. It is lined by transitional epithelium
4. It is derived from the absorbed part of the mesonephric duct

Correct answer: 1. Mucosa is loosely associated to the underlying musculature

Explanation: Trigone of the urinary bladder is a small triangular area located at the base of the bladder with apex towards the lower side. The mucosa is firmly attached to the underlying musculature giving it a smooth texture.